The enzymes involved in Phosphorylation of glucose to glucose 6- phosphate are:
1. Hexokinase
2. Glucokinase
3. Phosphofructokinase
4. Both A. and B.

Correct answer: 4. Both A. and B.

Explanation: Ans. D. Both (a) and (b)This is the first regulatory enzyme of Glycolysis. Hexokinase is present in all the tissues whereas Glucokinase is present only in the liver and is regulated by Insulin. It has high km and low affinity for glucose.